Which amongst the following is the most common form of plasma cell dyscrasia?
1. Solitary myeloma (Plasmacytoma)
2. Monoclonal Gammopathy of Uncertain Significance (MGUS)
3. Multiple myeloma
4. Lymphoplasmacytic lymphoma

Correct answer: 2. Monoclonal Gammopathy of Uncertain Significance (MGUS)

Explanation: Most common form of plasma cell dyscrasia -Monoclonal Gammopathy of Uncertain Significance (MGUS) -Plasma cell dyscrasia with 'M' spike or Monoclonal spike caused because of IgM -Macroglobulinemia/ WALDERNSTROM'S DISEASE AKA Lymphoplasmacytic Lymphoma. Plasma cell dyscrasia - POEMS SYNDROME P - Polyneuropathy O - Organomegaly E - Endocrinopathy M - Monoclonal gammopathy S - Skin changes